DNA fragments formed by restriction enzymes are separated by
1. Ultra centrifugation
2. Agarose gel electrophoresis
3. Paper chromatography
4. HPLC

Correct answer: 2. Agarose gel electrophoresis

Explanation: Agarose is the supp medium for the gel electrophoresis it is viscous liquid when hot but solidify to a gel on cooling.The gel is prepared in the buffer and spread over microscopic slides and allowed to cool.A small sample of serum or the biological fluid is applid by cutting into the gel with a sharp edge.The electrophoretic run takes about 90 minutes.This technique is modified for immunoelectrophoresis.Agarose gel is used as support to seperate different types of protein mixtures as well as nucleic acids. REFERENCE: DM VASUDEVAN TEXTBOOK SEVENTH EDITION Page no:447